Zero order kinetics means
1. A constant amount of drug is eliminated per unit time
2. A constant fraction of the drug in the body is eliminated per unit time
3. The fraction of the administrative dose that reaches the systematic circulation
4. None

Correct answer: 1. A constant amount of drug is eliminated per unit time

Explanation: Zero order of kinetics means a constant amount of drug is eliminated per unit time Ref -KDT 6/e p31